Neglected Whitlow may lead to necrosis of
1. Distal 4/5th of terminal phalanx
2. Whole of tip of terminal phalanx
3. Only the tip of terminal phalanx
4. None of the above

Correct answer: 1. Distal 4/5th of terminal phalanx

Explanation: Pulp space of fingers contains subcutaneous fat arranged in tight compartments. These compartments are formed by fibrous septa extending from the skin to the periosteum of terminal phalanx. Whitlow or pulp space infection is treated by lateral incision Complication is ischemic necrosis of distal 4/5 the of terminal phalanx due to vessel occlusion. Ref: BD Chaurasia Human Anatomy 5e vol 2 pg 123.